Patey's modification of mastectomy is
1. Total Mastectomy with level 1 nodes
2. Total mastectomy with Level 1 through 3 axillary LN with pectoralis minor resection
3. Total mastectomy with all nodes removed with Retraction of Pectoralis minor
4. Simple mastectomy

Correct answer: 2. Total mastectomy with Level 1 through 3 axillary LN with pectoralis minor resection

Explanation: Ans. (b) Total mastectomy with Level 1 through 3 axillary LN with pectoralis minor resection(Ref. Operative Surgery Fischer 55)* Patey procedure - Pectoralis muscle is removed from coracoid process* Auchincloss - Pectoralis muscle is retracted* Scanlon - Pectoralis muscle is divided